Radioresistant tumor is -
1. Ewings sarcoma
2. Retinoblastoma
3. Osteosarcoma
4. Neuroblastoma

Correct answer: 3. Osteosarcoma

Explanation: Ans. is 'c' i.e., Osteosarcoma o Most radio-resistant tumors areOsteosarcomaMelanomaHepatic carcinomaPancreatic carcinoma